Thalidomide is useful in which of the following conditions?
1. Treatment of leprosy
2. Treatment of type II lepra reaction
3. Treatment of type I lepra reaction
4. Treatment of neuritic leprosy

Correct answer: 2. Treatment of type II lepra reaction

Explanation: Lepra Reaction TYPE 1 LEPRA REACTION TYPE 2 LEPRA REACTION - It is also known as reversal reaction. - It is seen in TT and BL cases of leprosy. - Drug of choice is corticosteroids. Alternative is clofazimine. - Thalidomide is ineffective. - It is also known as erythema nodosum leprosum. - It is seen in LL cases of leprosy. - Drug of choice is corticosteroids. Alternative is clofazimine. - Thalidomide is useful in severe cases.